Barrett oesophagus can result from
1. H. Pylori infection
2. H. Simplex infection
3. Gastroesophagal reflux
4. Varices

Correct answer: 3. Gastroesophagal reflux

Explanation: Refer Robbins page no p 957 Barrett esophagus is a complication of chronic GERD that is characterized by intestinal metaplasia within the esophageal squamous mucosa. The incidence of Barrett esophagus is rising, and it is estimated to occur in as many as 10% of individuals with symptomatic GERD. Barrett esophagus is most common in white males and typically presents between 40 and 60 years of age. The greatest concern in Barrett esophagus is that it confers an increased risk of esoph- ageal adenocarcinoma. Genomic sequencing of biopsies involved by Barrett esophagus has revealed the presence of mutations that are shared with esophageal adenocarci- noma, in keeping with the idea that Barrett esophagus is a precursor lesion to cancer. Potentially oncogenic mutations are more numerous when biopsies demonstrate dysplasia, which is detected in 0.2% to 2% of persons with Barrett esophagus each year. The presence of dysplasia, a prein- vasive change, is associated with prolonged symptoms, longer segment length, increased patient age, and Caucasian race. Although the vast majority of esophageal adenocar- cinomas are associated with Barrett esophagus, it is impor- tant to remember that most individuals with Barrett esophagus do not develop esophageal tumors.